Scaphoid fracture which area has maximum chances of Avascular Necrosis?
1. Proximal 1/3
2. Middle 1/3
3. Distal 1/3
4. Scaphoid Tubercle Fracture

Correct answer: 1. Proximal 1/3

Explanation: (a) Proximal 1/3* Most of the blood supply to the scaphoid enters distally, so blood supply of scaphoid diminishes proximally. This accounts for the fact that 1% of distal third, 20% of middle third, 40% of proximal third and 100% of proximal pole fractures result in avascular necrosis or non-union of the proximal fragment.Scaphoid blood supplyAVN scaphoid